A 3 year old child having convergent squint comes for refraction. Which of the following is the best drug for it
1. Tropicamide
2. Atropine eye drops
3. Atropine ointment
4. Cyclopentollate

Correct answer: 3. Atropine ointment

Explanation: In the child with esotropia the accommodation is very high so total cycloplegia is achieved by atropine only Atropine ointment three times a day for three days prior to refraction is given to the patient Atropine eye ointment is preferred over atropine eye drops as this has lesser systemic side effects and more prolonged duration of action